What is the most common cause of pyogenic liver abscess
1. Trauma
2. Biliary tract infection
3. Colonic Diverticulitis
4. Appendicitis

Correct answer: 2. Biliary tract infection

Explanation: Routes of infection Biliary tract (Most Common) - CBD stones leading to cholangitis, Hilar carcinoma in Western countries, CBD strictures Portal vein (2nd most common) Hepatic artery - Hematogenous spread, usually monimicrobial, Staphylococcus or streptococcus Direct extension- from subdiapragmatic abscess, from suppurative cholecystitis, from empyema in chest, from perinephric abscess Penetrating or blunt trauma Cryptogenic Ref: Sabiston 20th edition